When energy is derived from creatine phosphate to cause muscle contraction, what is the first step in this transfer of energy -
1. The creatine phosphate transfers its energy to the cross bridges to cause them to become locked
2. The creatine phosphate causes the power stroke of the cross bridges
3. The creatine phosphate transfers its energy to the actin filament
4. The energy of the creatine phosphate is used to convert ADP to ATP

Correct answer: 4. The energy of the creatine phosphate is used to convert ADP to ATP

Explanation: Ans. D. The energy of the creatine phosphate is used to convert ADP to ATPPHOSPHORYLCREATINE: -a. ATP is resynthesized from ADP by the addition of a phosphate group. Some of the energy for this endothermic reaction is supplied by the breakdown of glucose to CO2 and H2 O, but there also exists in muscle another energy- rich phosphate compound that can supply this energy for short periods.b. This compound is phosphoryl creatine, which is hydrolyzed to creatine and phosphate groups with the release of considerable energy. At rest, some ATP in the mitochondria transfers its phosphate to creatine, so that a phosphoryl creatine store is built up.c. During exercise, the phosphoryl creatine is hydrolyzed at the junction between the myosin heads and actin, forming ATP from ADP and thus permitting contraction to continue.